Which of the following is not true about apoptosis?
1. Presence of inflammation
2. Bleb formation
3. Eosinophillia
4. Cell shrinkage

Correct answer: 1. Presence of inflammation

Explanation: Ans. is 'a' i.e., Presence of inflammation o The two most striking features of apoptosis are:i) In contrast to necrosis it does not elicit inflammationii) Considerable apoptosis may occur in tissues before it becomes apparent in histological section (because it occurs very rapidly).Morophological changes in apoptosisi) Cell shrinkage : It is the earliest changes.ii) Chromatin condensation (pyknosis)Znuclear compaction : It is the most characteristic feature.iii) Formation of cytoplasmic blebs : It is the end stage of apoptosis.iv) Cytoplasmic eosinophilia.v) Chromosomal DNA fragmentation : It is due to activity of endonuclease and caspases.vi) Formation of apoptotic bodies : These are membrane bound round masses of eosinophilic cytoplasm with tightly packed orgaelles which may contain nuclear debries).vii) Phagocytosis of apoptotic cells and bodies by adjacent macrophages or healthy parenchymal cells.